Which of the below is the most common tumor of the nasal cavity?
1. Adenoma
2. Papilloma
3. Myxoma
4. Adamantinoma

Correct answer: 2. Papilloma

Explanation: Inverted papilloma also called Schneiderian papilloma is the most common benign but locally invasive tumour. (Ref: Cummings, 6th edition, of no. 741)